Third generation cephalosporin that can be given orally is :
1. Cefixime
2. Cefpirome
3. Cefaclor
4. Cefadroxil

Correct answer: 1. Cefixime